BCG should be given :-
1. Immediately after birth
2. At age of 6 months
3. At age of 1 year
4. Any time after 1 year age

Correct answer: 1. Immediately after birth

Explanation: BCG is a live vaccine, should be given Immediately after birth. BCG vaccine if not given at birth : Give along with first dose of DPT vaccine (6 weeks). Age limit for BCG vaccine under NIS : Till 1 year age.